Most common presenting symptom of Zollinger -Ellison syndrome is:
1. Diarrhea
2. Pain
3. Esophageal symptoms
4. Flushing

Correct answer: 2. Pain

Explanation: Zollinger -Ellison syndrome symptoms and their frequencies Pain (79-100%), diarrhea (30-75%), esophageal symptoms (31-56%) and flushing is not a feature of this disease. Ref: Harrisons principles of internal medicine, 18th edition, Page: 3057